Frequency of sterilization services at different health facilities at "Fixed day static services (FDS)" is given below. Find out the wrong one:
1. District hospital - daily
2. Sub-district hospital - weekly
3. CHC/ Block PHC - fonightly
4. 24*7 PHC/ PHC - monthly

Correct answer: 1. District hospital - daily

Explanation: In District hospital sterilization is done weekly. Govt. of India is promoting FDS approach in sterilization services within public health system with the aim of increasing access to sterilization services. Ref: Park's textbook of Preventive and Social Medicine, 21st edition, page-475